Best diagnostic aid for broncheitasis is:
1. Bronchoscopy
2. X- Ray
3. Bronchography
4. CT Scan

Correct answer: 4. CT Scan

Explanation: D i.e. CT Scan